Louis Pasteur is associated with all except -
1. Vaccination of small pox
2. Germ theory
3. Pasteurization
4. Vaccination of rabies

Correct answer: 1. Vaccination of small pox

Explanation: The development of microbiology as a scientific discipline dates from Louis pasteur (1822-95). He introduced techniques of sterilisation and developed the steam sterilizer,Hot air oven and auto clave. He also established the differing growth needs of different bacteria and contributed to the knowledge of anthrax,chicken cholera and hydrophobia. An accidental observation that chicken cholera bacillus cultures left on the branch for several weeks lost their pathogenic property but retained their ability to protect the birds against subsequent infection by them,led to the discovery of the process of attenuation and the development of live vaccine. He attenuated cultures of the anthrax bacillus by incubation at high temperature and proved that inoculation of such cultures in animals induced specific protection aganist anthrax. It was pasteur who coined the term vaccine for such prophylactic preparation to commemorate the first of such preparations,namely cowpox employed by Edward Jenner for protection against small pox Ref :Ananthanarayan & paniker's textbook of microbiology 9th edition page no 3